For DNA testing, which tissue sample is taken in an autopsy -
1. Liver
2. Spleen
3. Kidney
4. Brain

Correct answer: 2. Spleen

Explanation: DNA can be extracted from any body fluid or tissue in which nucleated cells are present.
The samples for DNA testing in forensic practice are usually taken from
(1) load stain,
(2) Semen,
(3) Hair,
(4) Tissues such as bone marrow, spleen, muscle, fingernail scrapings,
(5) Mouth swabs,
(6) Saliva stains, and
(7) Chorionic villus and muscle samples in the foetus, cardiac muscle; bones (preferably long bones with more bone marrow) and, teeth (preferably molar) are resistant samples and can be used in burnt and decomposed bodies. Blood and spleen are easily obtainable samples.